Which of the following is seen in Marasmus and not in Kwashiorkor –
1. Voracious appetite
2. Fatty change in liver
3. Hypoalbuminemia
4. Edema

Correct answer: 1. Voracious appetite